"Transition mutation" occurs in
1. A - G
2. A - C
3. A - T
4. D - G

Correct answer: 1. A - G

Explanation: Replacement of purine by another purine (A to G or G to A ) or pyrimidine by pyrimidine (T to C or C to T ) is called transition mutationRef: DM Vasudevan, 7th edition, page no: 612